Tip of tongue drains inot -
1. Occipital lymph node
2. Submental lymph node
3. Deep cervical lymph nodes
4. Tonsillar lymph nodes

Correct answer: 2. Submental lymph node

Explanation: B i.e. Submental lymphnode